On Congo red staining amyloid is seen as
1. Dark brown colour
2. Blue colour
3. Brilliant pink colour
4. Khaki colour

Correct answer: 3. Brilliant pink colour

Explanation: Ref Robbins 9/e 257 Congo red under ordinary light imparts a pink or red colour to amyloid deposits.under polarized light, the Congo red stained amyloid shows a green birefringence